Number of centre of excellence in vision 2020 –
1. 20
2. 200
3. 2000
4. 20000

Correct answer: 1. 20